The classical flexion and rotation deformities at hip and knee joints, as a sequela of poliomyelitis, are due to the contracture of.
1. Tensor fascia lata
2. Gastrocnemius
3. Tendo Achilles
4. Hamstrings

Correct answer: 1. Tensor fascia lata

Explanation: Ans. is 'a' i.e., Tension fascia lata The flexion and rotation deformities at the hip and knee joint in poliomyelitis are due to iliotibial band contracture.As the iliotibial band is a direct extension of tensor facial lata muscle its pull on the hip and knee joint are actually due to contracture of the tensor facialata muscle.The common deformities seen in polio are-At hip - Flexion abduction and external rotationAt knee - Flexion, genu valgum and triple deformity At foot - Talipes equinovarusAlso, rememberThe test required for iliotibial band contracture - Ober's test *